All of the following are characteristic of a bronchopulmonary segment, except:
1. It is surgically respectableIt is surgically respectable
2. It is named according to the segmental bronchus supplying it
3. It is drained by intrasegmental branch of pulmonary vein.
4. It is the largest subdivision of a lobe.

Correct answer: 3. It is drained by intrasegmental branch of pulmonary vein.

Explanation: C i.e. It is drained by intrasegmental branch of pulmonary vein